Catgut suture is derived from which part of the sheep-
1. Stomach
2. Intestine
3. Muscle
4. Ligaments

Correct answer: 2. Intestine

Explanation: Ans. is 'b' i.e., Intestine o Catgut suture is prepared from the submucosa of the first one-third of the small intestine of sheep or cow.o Chromic catgut is made by treating catgut with chromic acid salt. This delays the hydrolysis of suture.